What is the normal left ventricular ejection fraction?
1. 20%
2. 30%
3. 50%
4. 65%

Correct answer: 4. 65%

Explanation: Normal left ventricular ejection fraction ranges from 55% to 70%. It is the measurement of how much blood is pumped out of the left ventricle of the heart in each contraction . It is expressed in percentage. If the EF is below normal value, it can be a sign of heart failure